A patient of acute myocardial infarction being treated in intensive care unit developed left ventricular failure with raised central venous pressure. It was decided to use nitroglycerine. Which route of administration would be most suitable?
1. Sublingual
2. Oral
3. Intravenous bolus injection
4. Slow intravenous infusion

Correct answer: 4. Slow intravenous infusion

Explanation: (Ref: KDT 6/e p527) Nitrates can be used in acute LVF by slow i.v. infusion.